The first step in fatty acid synthesis involves
1. Acetyl CoA carboxylase
2. b-Hydroxyl CoA dehydrogenase
3. Acetyl dehydrogenase
4. Pyruvate kinase

Correct answer: 1. Acetyl CoA carboxylase

Explanation: Acetyl CoA carboxylase 

Production of malonyl-CoA from acetyl-CoA is the initial and rate limiting step in fatty acid synthesis. The reaction is catalyzed by acetyl-CoA carboxylase.